Baby born to patient suspected of chlamydial infection sample to be taken for diagnosis?
1. conjunctival
2. Urethral
3. Urine sample
4. Blood

Correct answer: 1. conjunctival

Explanation: The chlamydia trachomatis cause inclusion blenorrhea, a neonatal form of inclusion conjunctivitis. It develops when infant is infected in the birth canal. The specimen of choice in this case is conjunctival scrapings, where characteristic inclusion bodies can be demonstrated. Image : Follicles on the bulbar conjunctiva, characteristic of Chlamydia trachomatis infection (photo 1). Also note the follicles in the inferior fornix (photo 2). Reference : Anathanarayan & paniker's 9th edition, pg no 419,420